Dilution segment in nephron is:
1. Ascending LOH
2. Descending LOH
3. Collecting tubule
4. Proximal tubule

Correct answer: 1. Ascending LOH

Explanation: Ans. a. Ascending LOH